Hill Sach's lesion:
1. Hip joint dislocation
2. Elbow dislocation
3. Shoulder Dislocation
4. Jaw dislocation

Correct answer: 3. Shoulder Dislocation

Explanation: Ans. (c) Shoulder DislocationRef: Maheshwari 5th ed. / 90* A Hill-Sachs lesion, also Hill-Sachs fracture, is a cortical depression in the postero-lateral head of the humerus bone.It is seen in anterior shoulder dislocation due to forceful impaction of the humeral head against the antero-inferior glenoid rim.Also Know* Reverse Hill Sach's lesion is due to posterior shoulder dislocation. Micro avulsion is seen on antero-medial aspect of humeral head.* Bankart lesion is avulsion of anterior glenoid labrum.